Increase in suicidal behaviour is due to
1. Increase in serotonin
2. Decrease in serotonin
3. Increase in noradrenaline
4. Reactive depression

Correct answer: 2. Decrease in serotonin

Explanation: Karolinska Institute in Sweden first noted that low concentrations of the serotonin metabolite 5-hydroxyindoleacetic acid (5-HIAA) in the lumbar cerebrospinal fluid (CSF) were associated with suicidal behavior. This finding has been replicated many times and in different diagnostic groups.CSF, neurochemical, and receptor studies support the hypothesis that reduced central serotonin is associated with suicide. Reference: Synopsis of Psychiatry, page 766, 767.